Horner's syndrome, all are true except-
1. Unilateral loss of sweating
2. Enophthalmos
3. Mydriasis
4. Ptosis

Correct answer: 3. Mydriasis

Explanation: MIOSIS occurs not mydriasis . Unilateral loss of sweating,Ptosis,Enophthalmos Heterochromia iridis , loss of ciliospinal reflex. Ref : ak khurana 6th edition